Regarding ranula, all are true except -
1. Retention cyst
2. Arises from submandibular gland
3. Translucent
4. Plunging may be a feature

Correct answer: 2. Arises from submandibular gland

Explanation: A ranula is a mucous retention cyst which arises from sublingual salivary gland and presents as fluctuant swelling with a bluish translucent colour.

Types of Ranula

Ranula may be of two types : -

1)Simple : - Situated in the floor of mouth without any cervical prolongation.
2)Deep/plunging : - Ranula with a cervical prolongation in submandibular region.